Storiform pattern of fibrous tissue is seen in
1. Fibrosarcoma
2. Malignant fibrous histiocytoma
3. Neruofibroma
4. Ameloblastic fibroma

Correct answer: 2. Malignant fibrous histiocytoma